Which of the following is the mechanism of action of new drug Rhopressa for glaucoma treatment
1. Increased uveoscleral outflow
2. Increased trabecular meshwork outflow
3. Increased aqueous production
4. Decreased aqueous production

Correct answer: 2. Increased trabecular meshwork outflow

Explanation: Increased trabecular meshwork outflow is the mechanism of action of new drug Rhopressa (rho- kinase inhibitors) New Drugs in Glaucoma Anecorvate - Angiostatic steroid. Ethacrynic acid latrunculins - cellular cytoskeletal modulators. Alter TM shape. Olmesean, lomerizine, nivaldipine - improves vascular perfusion. Neurotropic- FGF ,increase ganglion cell life. Memantine : NMDA antagonist. Rho kinase inhibitors increase TM outflow.